Drug used in treatment of malignant hyperthermia is -
1. Dantroline
2. Diazepam
3. Paracetamol
4. Phenobarbitone

Correct answer: 1. Dantroline

Explanation: Ans. is 'a' i.e., Dantroline Malignant hyperthermiao Malignant hyperthermia is a life - threatening medical emergency which is genetically determined,o The condition occurs during or immediately after anaesthesia and may be precipitated by potent inhalation agents (enflurane, halothane, isoflurane), or suxamethonium.o The mechanism involves a sudden rise in intracellular calcium due to release of stored calcium in sarcoplasmic reticulum, stimulating contraction, rhabdomyolysis and a hypermetabolic state.Clinical features areMasseter spasm -If a patient develops severe masseter spasm after suxomethonium, there is a significant possibility of malignant hyperthermia.Tachycardia and arrhythmiasRise in end-tidal C02 (first sign)| temperature & unexpected change in BP.o ManagementI. V. dantroline is the DOC, it acts by preventing the release of calcium from sarcoplasmic reticulum.Others are for supportive treatment - oxygen, cooling, and insulin & dextrose are given for hyperkalemia due to potassium release from contracted muscle.